Cranial nerve related to apex of the petrous temporal bone:
1. IX
2. VIII
3. VII
4. VI

Correct answer: 4. VI

Explanation: Apex of petrous temporal bone is related to cranial nerve V and VI.